The incisive papilla in the edentulous maxillary arch acts as a guideline to proper placement of the maxillary central incisors. The central incisors are generally found to be ________ mm anterior to a Line bisecting the incisive papilla:
1. 8 to 10mm
2. 6 to 8mm
3. 4 to 6mm
4. 5 to 7mm

Correct answer: 1. 8 to 10mm